Changes in cardiac output is minimal during:
1. Sleep
2. From supine to standing position
3. Exercise
4. Arrhythmias

Correct answer: 1. Sleep

Explanation: Ref: Pal GK. Cardiac output. In: Textbook of Medical Physiology. Ahuja Publishing House. 2007; 74: 607.Explanation:Increased cardiac outputExerciseAnxietyEmotion and excitementT environmental temperatureEatingPregnancyDecrease in cardiac outputStanding from supineSweatingNo change in cardiac outputSleepMild to moderate change in environmental temperature